Oral hairy leukoplakia is seen in which of the following conditions?
1. AIDS
2. Hepatitis B
3. Smoker's keratitis
4. Candidiasis

Correct answer: 1. AIDS